Investigation of choice to establish the diagnosis in case of nephrotic syndrome in adult is
1. Renal biopsy
2. DMSA
3. CT Scan
4. MRI

Correct answer: 1. Renal biopsy

Explanation: Answer- A. Renal biopsyIn adults since steroid responsive disease is less likely (<30%), and a wide differential diagnosis ofnephrotic syndrome exists, renal biopsy is recommended to establish the diagnosis.